The drug NOT used in acute asthma is-
1. Salbutamol
2. Ipratropium
3. Monteleukast
4. Hydrocortisone

Correct answer: 3. Monteleukast

Explanation: Ans. is 'c' i.e., Monteleukast Monteleukast and zafirleukast are indicated for prophylactic therapy of mild to moderate asthma as an alternative to inhaled corticosteroids. However they are not used to terminate acute attack of asthma.